Lipoprotein lipase is activated by which drug?
1. Atorvastatin
2. Clofibrate
3. Cholestramine
4. Nicotinic acid

Correct answer: 2. Clofibrate

Explanation: Ans. is 'b' i.e., Clofibrate o Fibrates (e.g. clofibrate) activate lipoprotein lipase, therefore, enhance lipolysis of triglycerides in VLDL.